"Golf-hole" ureteric orifice is seen in:
1. Ureteric calculus
2. Ureteral polyp
3. Tuberculosis of urinary bladder
4. Retroperitoneal fibrosis

Correct answer: 3. Tuberculosis of urinary bladder

Explanation: Ans. C. tuberculosis of urinary bladder TB of urinary system: Cystoscopy shows that early TB of the bladder commences around the ureteric orifice or trigone The earliest evidence is pallor of the mucosa due to submucus edema Subsequently tubercles may be seen as cobblestone appearance Long standing cases, there is much fibrosis and the capacity of the bladder is gretly reduced (thimble bladder) Rigid, wide mouthed ureter (golf hole ureter)